Which of the following phospholipid serves as a marker of apoptosis
1. Phosphatidylinosital
2. Phosphatidyl serine
3. Phosphatidyl choline
4. Phosphatidyl ethanolamine

Correct answer: 2. Phosphatidyl serine

Explanation: Phosphatidyl serine is normally present on inner mitochondrial membrane, flipping of it to the outer mitochondrial membrane is seen in apoptosis.